Fever associated with infection
1. Accelerates bacterial and viral replication
2. Left shifts the oxygen dissociation curve
3. Is due to interleukin-1 released from CD4 T-helper cells
4. Increase oxygen release to tissue

Correct answer: 4. Increase oxygen release to tissue

Explanation: Fever right shifts the oxygen dissociation curve, which allows for a greater release of oxygen to the tissue, making oxygen easily available to neutrophils and monocytes for use in the oxygen-dependent myeloperoxidase system of bactericidal killing. Having more oxygen available to tissue also enhances wound healing. In addition, fever interferes with bacterial and viral replication by providing a hostile environment for incubation. Fever is produced by the release of interleukin-I from macrophages. Interleukin-I, in turn, stimulates the hypothalamus to synthesize prostaglandins, which interact with the thermoregulatory center to produce fever.